Inadequate pressure application during flasking:
1. Increases vertical dimension
2. Causes teeth to be shrunken in investment
3. Causes poor quality of colour
4. Causes fracture of denture

Correct answer: 1. Increases vertical dimension